Least common site for spread of melanoma is?
1. GIT
2. Lungs
3. Liver
4. Renal

Correct answer: 4. Renal

Explanation: Ans. (d) RenalRef: DeVita, Heilman, and Rosenberg's Cancer: Principles & Practice ofVol 1/1931